All of the following are features of large intestine, EXCEPT:
1. It is a site of mucocutaneous junction
2. Its function is to absorbs salt and water
3. Its epithelium contains large number of globlet cells
4. Large intestine secretes acidic mucus which helps in formation of stools

Correct answer: 4. Large intestine secretes acidic mucus which helps in formation of stools

Explanation: Main functions of large intestine are absorption of water, formation of the fecal mass from indigestible material, and production of mucus that lubricates the intestinal surface.Ref: Textbook of Human Histology By Inderbir Singh, 4th Edition, Page 244 ; Junqueira's Basic Histology: Text and Atlas, 12th Edition, Chapter 15